Superior wall of middle ear is formed by ?
1. Tympanic membrane
2. Jugular bulb
3. Tegmen tympani
4. None

Correct answer: 3. Tegmen tympani

Explanation: Ans. is 'c' i.e., Tegmen tympani Roof (superior wall) of middle ear is formed by tegmen tympani.